Gaisbock's syndrome refers to:
1. Spurious erythrocytosis
2. Spurious thrombocytosis
3. Reactive thrombocytosis
4. Reactive erythrocytosis

Correct answer: 1. Spurious erythrocytosis

Explanation: Relative Erythrocytosis Hemoconcentration secondary to dehydration, diuretics, ethanol abuse, androgens or tobacco abuse It is Known as stress or spurious erythrocytosis or Gaisbock's syndrome Please NOTE: Not all patients with polycythemia rubra vera exhibit JAK2 mutation. Ref: Harrison, E-18,P-900